Alteplase differs from streptokinase as it :
1. Is longer acting
2. Is derived from human kidney
3. Is cheap
4. Activates plasminogen bound to fibrin

Correct answer: 4. Activates plasminogen bound to fibrin